All of the following are causes of primary amenorrhea, EXCEPT:
1. Rokitansky syndrome
2. Sheehan syndrome
3. Kollman syndrome
4. Turner syndrome

Correct answer: 2. Sheehan syndrome

Explanation: Sheehan's syndrome, characterized by postpartum amenorrhea, results from postpartum pituitary necrosis secondary to severe hemorrhage and hypotension and is a rare cause of secondary amenorrhea. Mullerian agenesis (Mayer-Rokitansky-Kuster-Hauser syndrome) is the second most common cause of primary amenorrhea. Kallmann syndrome results from defective hypothalamic gonadotropin-releasing hormone (GnRH) synthesis and is associated with anosmia or hyposmia due to olfactory bulb agenesis or hypoplasia. It is a cause of primary amenorrhea. Patients with Turner's syndrome usually present with primary amenorrhea. Must know: Causes of Secondary Amenorrhea: Common: Pregnancy Hypothalamic amenorrhea Pituitary amenorrhea Androgen disorders: polycystic ovarian syndrome, adult-onset adrenal hyperplasia Galactorrhea-amenorrhea syndrome Less Common: Premature ovarian failure Asherman's syndrome Sheehan's syndrome Drug-induced amenorrhea Rare: Diabetes Hyperthyroidism or hypothyroidism Cushing's syndrome or Addison's disease Cirrhosis Infection Malnutrition Irradiation or chemotherapy Hemosiderosis Ref: Simon A., Chang W.Y., DeCherney A.H. (2013). Chapter 54. Amenorrhea. In A.H. DeCherney, L. Nathan, N. Laufer, A.S. Roman (Eds), CURRENT Diagnosis & Treatment: Obstetrics & Gynecology, 11e.